Ureteric constrictions are at all sites except -
1. Pelviureteric junction
2. Lesser pelvis
3. At ischial spine
4. Urinary bladder wall

Correct answer: 3. At ischial spine

Explanation: The ureter is constricted at 5 places:-


At the pelviureteric junction.
At the brim of the lesser pelvis.
Point of the crossing of the ureter by ductus deferens or broad ligament of the uterus.
During its oblique passage through the bladder wall.
At its opening in the lateral angle of the trigone.